Most common site of carcinoma of stomach in developed countries is
1. Proximal stomach
2. Gastric antrum
3. Lesser curvature
4. Greater curvature

Correct answer: 1. Proximal stomach

Explanation: The proximal stomach is now the most common site for gastriccancer in resource-rich western countriesIt can be seen that just under 60% of all of the malignancies occurring in the oesophagus and stomach occur in proximity to the oesophago-gastric junction.This high prevalence of proximal gastric cancer is not seen in Japan, where distal cancer still predominates, as it does in most of the rest of the world.Bailey and Love 27e pg: 1132